Most common cause of death in measles ?
1. Encephalitis
2. Meningitis
3. Dehydration
4. Pneumonia

Correct answer: 4. Pneumonia

Explanation: Answer- D. PneumoniaMost commot cause of death in measles is pneumonia